Which of the following milestones develops and differentiates early in a term newborn?
1. Motor function
2. Social function
3. Cognition
4. Speech

Correct answer: 1. Motor function

Explanation: During early infancy, the motor system undergoes a variety of differentiations as visual, auditory, and tactile motor mechanisms. In the normal infant, these emerging motor differentiations follow a time schedule prescribed by the maturation of neural connections. The absence of these reflexes in the first few months of life and conversely their persistence beyond this time indicate a defect in cerebral development. Ref: Ropper A.H., Samuels M.A. (2009). Chapter 28. Normal Development and Detions in Development of the Nervous System. In A.H. Ropper, M.A. Samuels (Eds), Adams and Victor's Principles of Neurology, 9e.